Which among the following is NOT related to left ureter:
1. Quadratus lumborum
2. Psoas major
3. Left gonadal vessels
4. External iliac artery

Correct answer: 1. Quadratus lumborum

Explanation: Relations of ureter: Posterior relations (common to both sides):Psoas major muscleGenito femoral nerveThe beginning of the external iliac artery and the adjacent veinAnterior relations of the left ureter:Upper left colic and sigmoidal vessels cross itGonadal vesselsPelvic mesocolon and pelvic colon overlap near the pelvic brimAnterior relations of right ureter:Descending part of duodenumRight colic, gonadal and ileocolic vesselsRoot of mesentery of small intestine, with superior mesenteric vesselsTerminal ileum